Which of the following prevalence rates indicates xerophthalmia problem in the community:
1. Nightblindness more than 1%
2. Corneal xerosis more than 1%
3. Bitot spot's more than 1%
4. Conjunctival xerosis more than 0.5%

Correct answer: 1. Nightblindness more than 1%

Explanation: Ans. A: Nightblindness more than 1% Criteria for determining the "Xerophthalmia problem" in a community includes prevalence o f night blindness of more than 1.0% Prevalence criteria for determining the xerophthalmia problem Nightblindness: More than 1% Bitot's spots: More than 0.5% Corneal xerosis/corneal ulceration/ keratomalacia: More than 0.01% Corneal ulcer: More than 0.05% Serum retinol (less than 10 mcg/ dB: More than 5%